After herniotomy loss of sensation of the scrotum,root of penis is due to injury of -
1. Ilioinguinal nerve
2. Iliohypogastric nerve
3. Genitofemoral nerve
4. Obturator nerve

Correct answer: 1. Ilioinguinal nerve